Roid rage is seen in
1. flunitrazepam
2. LSD
3. toluene
4. anabolic androgenic steroids

Correct answer: 4. anabolic androgenic steroids

Explanation: ANABOLIC ANDROGENIC STEROIDS Testosterone like hormones * Muscle building property * Body builders * Normal testosterone range is 300-1000micrograms * Need to administer 10-100 times the normal to have effect kaplon and Sadock, synopsis of psychiatry, 11 th edition, pg no 686